Sciatic nerve palsy may occur a complication following which injury?
1. Trochanteric fracture
2. Fracture neck of femur
3. Posterior dislocation of hip joint
4. Anterior dislocation of hip joint

Correct answer: 3. Posterior dislocation of hip joint

Explanation: In posterior hip dislocation, head of femur is pushed out of the acetabulum posteriorly. Since the sciatic nerve lies behind the posterior wall of the acetabulum it is damaged in posterior hip dislocation. Ref: Essential Orthopedics By Maheshwari, 2nd Edition, Pages 111-119.